Which of the following does not cause pulmonary hypertension?
1. Sickle cell anemia
2. Fenfluramine
3. Hyperventilation
4. Scleroderma

Correct answer: 3. Hyperventilation

Explanation: ANSWER: (C) HyperventilationREF: Harrison 17th ed chapter 244Fenfluramine is known to cause PAHPulmonary arterial hypertension (PAH)Idiopathic (IPAH) (formerly PPH)Familial (FPAH)Associated with (APAH):C ollagen vascular diseas eCongenital systemic-to- pulmonary shuntsPortal hypertensionHIV infectionDrugs and toxinsOther (thyroid disorders, glycogen storage disease, Gaucher disease, hereditary hemorrhagic telangiectasia, hemoglobinopathies, myeloproliferative disorders, splenectomy)Associated with significant venous or capillary involvementPulmonary veno-occlusive disease (PVOD)Pulmonary capillary hemangiomatosis (PCH)Persistent pulmonary hypertension of the newbornPulmonary hypertension with left heart diseaseLeft-sided atrial or ventricular heart diseaseLeft-sided valvular heart diseasePulmonary hypertension associated with lung diseases and/or hypoxemiaChronic obstructive pulmonary diseaseInterstitial lung diseaseSleep-disordered breathingAlveolar hypoventilation disordersChronic exposure to high altitudeDevelopmental abnormalitiesPulmonary hypertension due to chronic thrombotic and/or embolic diseaseThromboembolic obstruction of proximal pulmonary arteriesThromboembolic obstruction of distal pulmonary arteriesNonthrombotic pulmonary embolism (tumor, parasites, foreign material)MiscellaneousSarcoidosis, histiocytosis X, lymphangiomatosis, compression of pulmonary vessels (adenopathy, tumor, fibrosing mediastinitis)